All of the following are direct causes of maternal mortality except :
1. APH
2. PPH
3. Heart disease
4. Eclampsia

Correct answer: 3. Heart disease

Explanation: Direct causes of maternal mortality hemorrrhage sepsis eclampsia obstructed labour complications of abortion Anemia,malaria,hepatitis,diabetes,HIV/AIDS TEXTBOOK OF OBSTETRICS,SHEILA BALAKRISHNAN,Pg no:596,2nd edition